T-Cell dependent region is
1. cortical follicle of lymph node
2. medullary cords
3. mantle layer
4. paracortical area

Correct answer: 4. paracortical area

Explanation: T cell areas are:

Periarterial lymphoid collection
Malpighian corpuscles in white pulp
Paracortical areas.